The main portion of the ovarian artery, vein, and nerves are carried to and from the ovary by way of the:
1. Suspensory ligament
2. Ovarian ligament
3. Broad ligament
4. Mesovarium

Correct answer: 1. Suspensory ligament

Explanation: The suspensory ligament attaches the ovary to the pelvic wall and carries within its folds the main portion of the ovarian vessels and nerves. The ovarian ligament attaches the inferior pole of the ovary to the uterus. The broad ligament is a double-fold of parietal peritoneum, which hangs over the uterus (mesentery of the uterus) and connects lateral margins of the uterus with the side wall of the pelvis. The mesovarium, the posterior extension of the broad ligament, supports the ovary and becomes continuous with the serosa (or germinal epithelium) of the ovary. The mesosalpinx, which is the superior limit of the broad ligament, supports the uterine tube. Some branches of the ovarian vessels lie within the mesosalpinx. Ref: Cunningham F.G., Leveno K.J., Bloom S.L., Hauth J.C., Rouse D.J., Spong C.Y. (2010). Chapter 2. Maternal Anatomy. In F.G. Cunningham, K.J. Leveno, S.L. Bloom, J.C. Hauth, D.J. Rouse, C.Y. Spong (Eds), Williams Obstetrics, 23e.